Figure of 8 configuration on chest x–ray is seen in –
1. TOF
2. ASD
3. TAPVC
4. VSD

Correct answer: 3. TAPVC

Explanation: X-ray findings of TAPVC 

Cardiomegaly
Plethoric lung fields
Snowman or figure of 'V configuration ---> In supracardiac TAPVC.
Ground glass appearance of lung —> In obstructive TAPVC.
Clinical manifestations of TAPVC 


Nonobstructive TAPVC -4 Patients presents with mild cyanosis and CHF at 6-8 weeks.
Obstructive TAPVC —> Paients presents with severe cyanosis and CHF within first week.

EOG

.Right axis deviation with right ventricular hypertrophy.
In obstructive TAPVC pulmonale.